Anti histone antibodies are characteristics of
1. Drug induced lupus
2. Cardiac lupus
3. Lupus nephritis
4. MCTD

Correct answer: 1. Drug induced lupus

Explanation: Ref - Harrison's internal medicine 20e p2517